The Guidelines for immunization against infectious disease includes all of the following except
1. Live vaccines are contraindicated in pregnant women
2. Live vaccines should not be administered within 3 months of giving human immunoglobulin
3. Inactivated vaccines should not be given if there has been significant reaction to previous dose
4. Hay fever, sickle cell anemia and tuberculosis are contraindications for vaccination

Correct answer: 4. Hay fever, sickle cell anemia and tuberculosis are contraindications for vaccination

Explanation: Hay fever, sickle cell anemia and tuberculosis are contraindications for vaccination Ref : Nelson paediatrics chapter : Growth and